Most common symptom present in undisturbed ectopic:
1. Pain in lower abdomen
2. Amenorrhea
3. Bleeding PN
4. Fainting attack

Correct answer: 1. Pain in lower abdomen